Which of the following bones do not contribute to the nasal septum?
1. Sphenoid
2. Lacrimal
3. Palatine
4. Ethmoid

Correct answer: 2. Lacrimal

Explanation: The bony part of Nasal septum is formed by: *Vomer *Perpendicular plate of ethmoid.however its margins receives contributions from nasal spine of frontal bone,the rostrum o the sphenoid,nasal crest of nasal,palatine and maxillary bones. REF.BDC vol 3 page no:241